Radical cure is required for malaria caused by :
1. P. falciparum and P. vivax
2. P. falciparum and P. malariae
3. P. vivax and P. malariae
4. P. vivax and P. ovale

Correct answer: 4. P. vivax and P. ovale